The X-ray which are mostly like to be absorbed by the
tissues and produce an injury:
1. X-rays of long wavelength
2. X-rays of short wavelength
3. Filtered X-rays
4. Central rays

Correct answer: 1. X-rays of long wavelength